A drug that binds to the receptor at the same site as the agonist and produces an intrinsic effect opposite to the agonist is termed as:
1. Partial agonist
2. Inverse agonist
3. Competitive antagonist
4. Non-competitive Antagonist

Correct answer: 2. Inverse agonist

Explanation: A drug that binds to the receptor at the same site as the agonist and produces an effort opposite to the agonist is termed as A reverse Agonist. Inverse/Reverse Agonist: is an agent that binds to the receptor as an agonist but induces an intrinsic response opposite to that of an agonist. A Competitive Antagonist: is an agent that binds to the same site as the agonist and induces no intrinsic response. (No intrinsic activity; does not activate). The antagonism is acheived because it blocks the action of the agonist. The antagonist effect is only observed if the agonist is also present (it cannot block the agonist effect if no agonist is present) Agonist Antagonist A drug that binds to and activates a receptor. Can be full, partial or Inverse. A Full Agonist has high efficacy, producing a full response while occupying a relatively low proportion of receptors A Partial Agonist has lower efficacy than a full agonist. It produces sub-maximal activation even when occupying the total receptor population, therefore cannot produce the maximal response, irrespective of the concentration applied. A partial antagonist antagonizes the action of a full agonist. An Inverse Agonist produces an effect opposite to that of an agonist, yet binds to the same receptor binding-site as an agonist. A drug that attenuates the effect of an agonist. Can be competitive or non-competitive, each of which can be reversible or irreversible A Competitive Antagonist binds to the same site as the agonist but does not activate it, thus blocks the agonist's action. A Non-competitive Antagonist binds to an allosteric (non-agonist) site on the receptor to prevent activation of the receptor. Any non-competitive inhibitor may thus also be termed as an Allosteric Inhibitor. A Reversible Antagonist binds non-covalently to the receptor, therefore can be "washed out" An Irreversible Antagonist binds covalently to the receptor and cannot be displaced by either completing ligands or washing Ref: KDT 7th edition